Most common symptom of Orthostatic Hypotension is
1. Vertigo
2. Light headedness
3. Palpitations
4. Blurred vision

Correct answer: 2. Light headedness

Explanation: (B) Lightheadedness # Orthostatic hypotension: Reduction in systolic BP of at least 20 mmHg or diastolic BP of at least 10 mmHg within 3 min of standing or head-up tilt on a tilt table, is a manifestation of sympathetic vasoconstrictor (autonomic) failure.> Characteristic symptoms include light headedness, dizziness, & presyncope (near-faintness) occurring in response to sudden postural change.> Nonspecific Symptoms include generalized weakness, fatigue, cognitive slowing, leg buckling, or headache.> Visual blurring may occur, likely due to retinal or occipital lobe ischemia.> Coat-hanger headache: Neck pain, typically in the suboccipital, posterior cervical, and shoulder region, most likely due to neck muscle ischemia, may be the only symptom.> Orthostatic dyspnea (thought to reflect ventilation-perfusion mismatch due to inadequate perfusion of ventilated lung apices) or angina (attributed to impaired myocardial perfusion even with normal coronary arteries).> Symptoms may be exacerbated by exertion, prolonged standing, increased ambient temperature, or meals.> Syncope is usually preceded by warning symptoms, but may occur suddenly, suggesting the possibility of a seizure or cardiac cause.> Supine hypertension is common in patients with orthostatic hypotension due to autonomic failure, affecting over 50% of patients.